Radioactive isotope/substance emits the following radiations except –
1. Alpha
2. Beta
3. Gamma
4. X–ray

Correct answer: 4. X–ray